Branches of celiac trunk are all except -
1. Common hepatic artery
2. Left gastric artery
3. Left gastroepiploic artery
4. Splenic artery

Correct answer: 3. Left gastroepiploic artery

Explanation: Ans. is 'c' i.e., Left gastroepiploic artery * Gastroduodenal artery is a branch of Common hepatic artery which is a branch of the coeliac trunk.